Receptors for thyroid hormones are present:
1. On the cell membrane
2. Across the cell membrane
3. Inside the cells
4. In association with G-proteins

Correct answer: 3. Inside the cells

Explanation: Ans. C. Inside the cellsThyroid hormones come under the category of Group I hormones. They bind to intracellular receptors to form receptor- hormone complexes (the intracellular messengers) through which their biochemical functions are mediated.